The tick-borne hemorrhagic fever found in Karnataka state is - rpt
1. Japanese enephalitis
2. Kyasanur forest disease
3. Epidemic nephrosonephritis
4. Lassa fever

Correct answer: 2. Kyasanur forest disease

Explanation: KFD- is a febrile disease associated with haemorrhage caused by an antivirus, flavivirus and transmitted to human by bite of infected ticks. KFD was first recognised in 1957 in Shimoga district of Karnataka state in South India. REF:Park's textbook of preventive and social medicine 23rd edition.